Which enzymatic mutation is responsible for immortality of cancer cells :
1. DNA reverse transciptase
2. RNA polymerase
3. Telomerase
4. DNA polymerase

Correct answer: 3. Telomerase

Explanation: C i.e. Telomerase